The cells seen after 72 hours in the infarcted area in MI are
1. Neutrophils
2. Lymphocytes
3. Macrophages
4. Monocytes

Correct answer: 3. Macrophages

Explanation: Light microscopic finding of infarcted area 3-7 days: Beginning disintegration of dead myofibers, with dying neutrophils; early phagocytosis of dead cells by macrophages at infarct border. (Robbins basic pathology,9th edition,pg no.380)